Feature of early dumping syndrome is
1. Occurs immediately after meals
2. Relieved with food
3. Aggravated by exercise
4. Symptoms are tremors, faintness, prostration

Correct answer: 1. Occurs immediately after meals

Explanation: (A) Occurs immediately after meals FEATURES OF EARLY AND LATE DUMPING EarlyLate* Incidence5-10%5%* Relation to mealsAlmost immediateSecond hour after meal* Durations of attack30-40 minutes30-40 minutes* ReliefLying downFood* Aggravated byMore foodExercise* Precipitating factorFood, especiallyAs early dumping carbohydrate-rich & wet* Major symptomsEpigastric fullness, sweating, light- headedness, tachycardiaTremor, faintness, prostration, colic, sometimes diarrhoea